Goblet cells are seen in
1. Cornea
2. Conjunctiva
3. Retina
4. All the above

Correct answer: 2. Conjunctiva

Explanation: Goblet cells are highly specialized epithelial cells that produce mucin.